Treatment of Herpes zoster:
1. Zidovudin
2. Valacyclovir
3. Ribavarin
4. Nevirapine

Correct answer: 2. Valacyclovir

Explanation: Ans. is 'b' i.e., Valacyclovir (Ref: Jawetz, 27th/e, p. 470)* Famciclovir or valacyclovir are the DOC for Herpes Zoster.* Several antiviral compounds provide effective therapy for varicella, including acyclovir, valacyclovir, famciclovir and foscarnet. Acyclovir can prevent the development of systemic disease in varicella - infected immunosuppressed patients and can halt the progression of herpes zoster in adults. Acyclovir does not appear to prevent postherpetic neuralgia.